Classical markers for Hodgkin's disease is
1. CD 15 and CD 30
2. CD 15 and CD 22
3. CD 15 and CD 20
4. CD 20 and CD 30

Correct answer: 1. CD 15 and CD 30

Explanation: Reed Sternberg cells in all types of Hodgkin's diseases, except in lymphocytic prdominance type,express immunoreactivity for CD 15 & CD 30. RS cells in lymphocytic predominance type are negative for both CD 15 & CD 30, but positive for CD 20.

Reference : Harsh mohan textbook of pathology 6th edition pg no370